Beta blockers are indicated for all of the following conditions EXCEPT:
1. Hypothyroidism
2. Alcohol Withdrawal
3. Portal hypertention
4. Performance anxiety

Correct answer: 1. Hypothyroidism

Explanation: Ref: KD Tripathi pharmacology 7th edition (page.no: 150) beta blockers used in thyrotoxicosis because Propranalol inhibit peripheral conversion of T4 to T3 Other uses are Hypertension, Phaeochromocytoma, Anxiety, Alcohol withdrawal ,Myocardial infarction, Angina pectoris, Portal hypertension etc